A patient with a hyperlipoproteinemia would most likely benefit from a low-carbohydrate diet if the lipoproteins that are elevated in the blood belong to which class of lipoproteins? Choose the one best answer.
1. Chylomicrons
2. VLDL
3. LDL
4. HDL

Correct answer: 2. VLDL

Explanation: VLDL is produced mainly from dietary carbohydrate, LDL is produced from VLDL, and chylomicrons contain primarily dietary triacylglycerol. Elevated HDL levels are desirable and are not considered to be a lipid disorder. HDL also contains low levels of triglyceride. A low-carbohydrate diet would be expected to reduce the level of circulating VLDL because of reduced fatty acid and triglyceride synthesis in the liver.